Maximum number of mucosal folds are found in which part of fallopian tube
1. Infundibulum
2. Ampula
3. Isthmus
4. Interstitial part

Correct answer: 2. Ampula

Explanation: Mucosa of fallopian tube Mucosa of fallopian tube is folded to form numerous longitudinal folds which project into the lumen. Maximum numbers of these folds are present in the ampulla. The mucosa is covered by simple columnar epithelium. The epithelium has two types of cells :? Ciliated cells Non-ciliated secretory cells (peg cells) Secretion of peg cells provides nutrition to ovum.